Most common malignant bone tumor is:
1. Ewing's sarcoma
2. Osteosarcoma
3. Metastasis
4. Chondrosarcoma

Correct answer: 3. Metastasis

Explanation: Ans: c (Metastasis) Ref: Maheswari, 3rd ed, p. 224Metastatic tumors are the most common malignant tumors of the bone followed by primary bone tumors.Most common sites from which mets arise are:Lungs--in malesBreast-- in femalesProstateThyroidFrequently asked questions regarding bone tumorsMost common malignancy of bone-SecondariesMost common primary malignant bone tumour-Multiple myelomaMost common primary malignant tumour of long bones-OsteosarcomaMost common true benign tumour of bone-Osteoid osteomaCommonest benign tumour of bone-OsteochondromaHormone dependent bone tumour-fibrous dysplasiaMost common symptom of secondaries-pain